The transport protein responsible for entry of glucose into the intestinal enterocyte is called:
1. Glut-2
2. Glut-5
3. SGLT1
4. SGLT2

Correct answer: 3. SGLT1

Explanation: The transport protein responsible for the sodium-dependent glucose transport in the small intestine is termed the SGLT1. The absorption of glucose occurs through the coordinated action of transport proteins located in the brush border and basolateral membranes of the enterocyte. Glucose uptake into the enterocyte occurs primarily the sodium-dependent SGLT1 secondary active trans port mechanism. Exit from the enterocyte occurs by facilitated diffusion and is mediated by the membrane transporter, Glut-2. Glut-5 is the membrane transporter located on the apical portion of the enterocyte responsible for the facilitated entry of fructose into the cell.